The RCH programme was launched in
1. 1993
2. 1995
3. 1997
4. 1999

Correct answer: 3. 1997

Explanation: Reproductive and Child Health (RCH) Programme was launched in October 1997. The main aim of the programme is to reduce infant, child and maternal mortality rates. RCH - II was launched on 1st April 2005. The main objective of the program was to bring about a change in mainly three critical health indicators i.e. reducing total fertility rate, infant mortality rate and maternal mortality rate with a view to realizing the outcomes envisioned in the Millennium Development Goals.